Pungent volatile anaesthetic agents are – a) Halothaneb) Isofluranec) Sevofluraned) Desfluranee) N2O
1. c
2. d
3. bd
4. ac

Correct answer: 3. bd

Explanation: Pungent volatile anaesthetics :- Desflurane, isoflurane, enflurane, ether.
"Desflurane is the most pungent of the volatile anaesthetic".
Non pungent volatile anaesthetics N2O, Halothane, Sevoflurane.